30 years old female presents in gynaec OPD with complaints of recurrent abortions and menorahagia. Her USG showed 2 sub-serosal fibroids of 3 x 4 cm on anterior wall of uterus and fundus, which is best line of management:-
1. TAH with BSO
2. Myolysis
3. Myomectomy
4. Uterine artery embolisation (UAE)

Correct answer: 3. Myomectomy

Explanation: Laparoscopic myomectomy is best treatment for such young infertile patients, but it requires subserosal pedunculated fibroids and surgical expertise. Hysterectomy is advisable in patients who had completed their family. Myolysis is myoma coagulation with laparoscopic lasers. (Nd- YAG) or bipolar needle & used in perimenopausal patients. UAE is newer intervention for fibroid management in surgically unfit high risk patients, but it causes decreased fertility & carries risk of placental insufficiency and uterus rupture in subsequent pregnancy.